Ratio of fat cells and blood cells in bone marrow is ?
1. 1:04
2. 1:02
3. 1:01
4. 2:01

Correct answer: 3. 1:01

Explanation: Ans. is 'c' i.e., 1:1 In normal adults, the ratio of fat cells to hematopoietic cells is about 1:1. In bone marrow, myeloid to erythroid ratio is 3:1 or 4:1.4